Porphobilinogen in urine produces pink colour with-
1. Fouchet's reagent
2. Benedict's reagent
3. Sodium nitroprusside
4. Ehrlich's aldehyde reagent

Correct answer: 4. Ehrlich's aldehyde reagent

Explanation: Ehrlich's aldehyde reagent test is used for porphobilinogen and urobilinogen in urine. It is mainly used in acute intermittent porphyria.

About other options

Sodium nitroprusside (Rothera's test) → For ketone bodies
Benedict's test                                     → Glucose and other reducing sugars in urine
Fouchet's (barium sulphate) test         → Bile pigment (bilirubin)